A 42-year-old woman presents to the emergency department at 8 PM, mildly somnolent and complaining of the "worst headache of her life," which began at 6 AM on the same day, awakening her. She took acetaminophen (Tylenol) twice during the day, with some relief. At noon she started to have nausea with vomiting, and by 3 PM she had developed right arm and leg weakness. She denies any head trauma. Which of the following is the most likely diagnosis
1. Epilepsy
2. Hypoglycemia
3. Transient ischemic attack
4. Subarachnoid hemorrhage

Correct answer: 4. Subarachnoid hemorrhage

Explanation: Spontaneous SAH often is due to aneurysmal rupture. These headaches are described as the worst headache of the patient's life. They frequently are misdiagnosed as migraine or tension headaches or viral illness. The clinical presentation consists of one or more of the following: decreased level of consciousness, increasing headache, or focal motor deficit. Ref:- Harsha Mohan textbook of Pathology